Beta blockers that can be used in renal failure are all EXCEPT
1. Propranolol
2. Pindolol
3. Sotalol
4. Oxprenolol

Correct answer: 3. Sotalol

Explanation: Sotalol Ref: KDT, (jh Edition, Page 136, 137 Lipid insoluble beta-blockers are excreted by the kidney and should be avoided in renal failure. These are: Not Soluble ABC Not - Nadolol Soluble - Sotalol A - Atenolol - Acebutolol B - Bisoprolol - Betaxolol C - Celioprolol